All the following muscles are attached to Perineal body except
1. Bulbospongiosus
2. Ischiocavernosus
3. Superficial Transverse Perinei
4. Levator ani

Correct answer: 2. Ischiocavernosus

Explanation: Ten muscles of the perineum converge and interlace in the perineal body.Two unpairedExternal anal sphincterFibers of longitudinal muscle coat of anal canalPairedBulbospongiosusSuperficial and deep transversus pereneiLevator aniReference: Chaurasia Volume II; 7th edition; Page no: 383